CSF findings shows protein - 60%, sugar - 40%; and neutrophils - predominant. The diagnosis is
1. Viral meningitis
2. Bacterial meningitis
3. Tuberculous meningitis
4. Fungal meningitis

Correct answer: 2. Bacterial meningitis

Explanation: (B) Bacterial meningitis TYPICAL LUMBAR CSF FINDINGS IN MENINGITISTestBacterialViralFungalTuberculousOpening PressureElevatedUsually normalVariableVariableLeukocyte count>1000/pL<100/pLVariableVariableCell differentialMainly neutrophilsMainly lymphocytesMainly lymphocytesMainly lymphocytesProteinMild-marked increaseNomral-mild increaseIncreasedIncreasedGlucoseUsually < 40 mg/dLNormalDecrasedDecreased: may be < 40 mg/dLCSF-to-serum glucose ratioNormal-marked decreaseUsually normalLowLowLactic acidMild-marked increaseNormal-mild increaseMild-moderate increaseMild-moderate increase